Heterozygous sickle cell anaemia gives protection against:
1. G6PD
2. Malaria
3. Thalassennia
4. Dengue fever

Correct answer: 2. Malaria